Intraocular pressure is increased by which anaesthetic-
1. Ketamine
2. Propofol
3. Sevoflurane
4. Isoflurane

Correct answer: 1. Ketamine

Explanation: Ans. is 'a' i.e., Ketamine o Ketamine increases intra-ocular tension ->> Contraindicated in glaucoma & open eye surgery.